Which of the following properties make pyridostigmine different from neostigmine
1. It is more potent
2. It is longer acting
3. It produces less muscarinic side effects
4. It does not have any direct action on NM receptor

Correct answer: 2. It is longer acting

Explanation: Ref-KDT 7/e p108 Pyridostigmine acts for 3 to 6 hours as compared to 0.5 to 2 hourshours dur of action of neostigmine. It is less important than neostigmine Rest of the properties are similar to neostigmine